Which of the following is not a feature of multiple myeloma?
1. Recurrent infection
2. Neurological manifestation
3. t (8 - 14) translocation
4. Hypercalcemia

Correct answer: 3. t (8 - 14) translocation

Explanation: t (8 - 14) translocation is seen in 75% cases of Burkitt's lymphoma not multiple myeloma. Diagnostic criteria of multiple myeloma requires presence of more than 10% plasma cells in bone marrow, presence of monoclonal protein in serum or urine and presence of evidence of end organ damage (hypercalcemia, anemia, bone lesions or renal insufficiency). Reference: Harrison's Principles of Internal Medicine 18th edition chapter 111.